Negri bodies are found in-
1. Rubella
2. Rabies
3. HSV
4. IMN

Correct answer: 2. Rabies

Explanation: Ans. is 'b' i.e., Rabies * The characteristic histopathological picture in rabies is the intra-cytoplasmic inclusion body (Negri body) in the neurons, most abundant in the cerebellum and Hippocampus.* Negri bodies are pathognomic of rabies.